Chorionic villous sampling is done in all except:
1. Phenylketonuria
2. Down's syndrome
3. Neural tube defect
4. Thalassemia/sickle cell anemia

Correct answer: 3. Neural tube defect

Explanation: Ans. is c, i.e. Neural tube defectChorionic villi sampling cannot detect structural abnormalities like neural tube defect."The indications of CVS and amniocentesis are usually the same, however disorders that specifically require analysis of amniotic fluid liquor such as neural tube defects are not amenable to prenatal diagnosis by CVS"Ref. Obs. and Gynae Beckman 5/e, p 45